Which of the following is the first sign of puberty in females?
1. Pubarche
2. Thelarche
3. Menarche
4. Growth spurt

Correct answer: 2. Thelarche